Rescue P.C.I is done for which of the following?
1. Persistent chest pain with ST elevation > 60 min after thrombolysis
2. Persistent chest pain with ST elevation > 30 min after thrombolysis
3. Persistent Chest pain with ST elevation >90 min after thrombolysis
4. Pain with ST elevation for >120minutes after thrombolysis

Correct answer: 3. Persistent Chest pain with ST elevation >90 min after thrombolysis

Explanation: Option C = Rescue P.C.I. After thrombolysis ST Elevation begin to reduce If ST Elevation persisting in spite of thrombolysis. So it's failure of thrombolysis | within 90 minutes Rescue PCI Types of PCI Primary PCI done for STEMI (Door to device time < 90 minutes). Delayed PCI done for Unstable Angina NSTEMI Rescue PCI Failure of thrombolysis (within 90 minutes).